Sexual gratification of a women is obtained by another woman is called?
1. Tribadism
2. Bestiality
3. Fellatio
4. Cunnilingus

Correct answer: 1. Tribadism

Explanation: Ans. is 4a' i.e., Tribadism o Tribadism (Lesbianism or female homosexuality): Sexual gratification of a women is obtained by another woman by kissing, body contact, manipulation of breast and genitalia. Active partner is called dyke or butch and the passive agent is called femme. This is not an offence in India.o Bestiality is sexual intercourse by a human being with an animal.o Fellatio is oral stimulation of penis by male or female.o Cunnilingus is oral stimulation of female genitals.